Sexual gratification obtained by contact of private parts in
1. Masochism
2. Transvestism
3. Fetichism
4. Frotteurism

Correct answer: 4. Frotteurism

Explanation: Frotteurism In this, sexual gratification is obtained by contact. The person is obtaining the gratification by rubbing his private parts against a female's body. It is punishable according to Sec 354A IPC Ref: FORENSIC MEDICINE AND TOXICOLOGY Dr PC IGNATIUS THIRD EDITION PAGE 312